Which of the following radioactive isotopes is not used for brachytherapy:
1. Iodine-125
2. Iodine - 131
3. Cobalt - 60
4. Iridium - 192

Correct answer: 2. Iodine - 131

Explanation: B i.e. Iodine -131